Not a Protease inhibitor is -
1. Nelfinavir
2. Saquinavir
3. Ritonavir
4. Abacavir

Correct answer: 4. Abacavir

Explanation: Ans. is 'd' i.e., Abacavir Antiretroviral drugsNucleoside reverse transcriptase inhibitors (NRTIs) - Zidovudin, Didanosine, Zalcitabine, Stavudine, Lamivudine, Abacavir.Nucleotide reverse transcriptase inhibitor - Tenofovir (Katzung 1 O^/e)Nonucleoside reverse transcriptase inhibitors (NNRTIS) - Nevirapine, Efavirenz, Delavirdine, Etravirine.Protease inhibitors - Ritonavir, Indinavir, Nelfmavir, Saquinavir, amprenavir, Lopinavir, Fosamprenavir, Atazanavir, Darunavir, Tipranavir.Fusion inhibitor - Enfuvirtide, Maraviroc.Integrase inhibitors - Roltegravir, Elvitegravir.